True regarding common bile duct is all EXCEPT:
1. Opens 10 cm distal to the pylorus
2. Lies anterior to IVC
3. Portal vein lies posterior to it
4. Usually opens into duodenum separate from the main pancreatic duct

Correct answer: 4. Usually opens into duodenum separate from the main pancreatic duct

Explanation: Common bile duct joins the pancreatic duct to form hepatopancreatic duct which opens into 2nd part of duodenum( 10 cm distal to the pylorus) at major duodenal papilla. The hepatic duct lies in front and to the right, the hepatic artery to the left, and the portal vein behind and between the duct and artery.